Pasmmoma bodies are seen in following except -
1. Serous cystadenoma of ovary
2. Mucinous cystadenoma of ovary
3. Meningioma
4. Papillary carcinoma of thyroid

Correct answer: 2. Mucinous cystadenoma of ovary